A boy is having diarrhoea, rhinorrhoea, sweating & lacrimation, What is the most probable diagnosis-
1. Cocaine withdrawal
2. Heroin withdrawal
3. Alcohol withdrawal
4. LSD withdrawal

Correct answer: 2. Heroin withdrawal

Explanation: Diarrhoea, rhinorrhea, sweating and lacrimation are symptoms of opioid withdrawal (Heroin/morphine withdrawal).